Which of the following condition indicate periodontal rather an endodontic lesion?
1. Acute pain on vertical percussion with no swelling
2. Pain to lateral percussion with wide sulcular pocket
3. A deep narrow sulcular pocket to the apex with exudates
4. Pain to palpation of the buccal mucosa near the tooth apex

Correct answer: 2. Pain to lateral percussion with wide sulcular pocket